A person working in hot environment who consumes more water without salt is likely to develop a condition called -0
1. Heat stroke
2. Heat exhaustion
3. Heat cramps
4. Heat hyperpyrexia

Correct answer: 3. Heat cramps

Explanation: park'stextbook of preventive and social medicine 23rd edition. *heat cramps occur in persons who are doing heavy muscular work in high temperature and humidity . *there are painful and spasmodic contractions of skeletal muscles *cause is the loss of sodium and chlorides in the blood.